Continuous prophylactic anticonvulsant therapy is not needed in a child with febrile convulsions with?
1. Developmental delay
2. Family history of Epilepsy
3. Typical simple febrile fits
4. Persistent neurological deficit

Correct answer: 3. Typical simple febrile fits

Explanation: Continuous antiepileptic therapy is not required for simple febrile seizures, but intermittent prophylaxis may be given. Febrile seizures Types Simple febrile seizures Complex febrile seizures Generalised, usually tonic clonic Lasting for a maximum of 15 minutes Does not reoccur within 24 hrs period Focal in nature More prolonged >15 minutes Recurs within 24 hrs.